Sutural separation seen in
1. Diastatic fracture
2. Penetrating fracture
3. Cut fracture
4. Performing fracture

Correct answer: 1. Diastatic fracture

Explanation: Diastatic fracture or sutural fracture: Suture separation is called a diastatic fracture. Penetrating and performing fracture: They are fractures produced by penetrating objects like a bullet, pointed sharp weapon, sword or dagger. Fracture which is having an entry and an exit is called a performing fracture. Cut fracture Skull may be subjected to cut injuries when a heavy cutting weapon is used. The cut injury may enter the skull cavity and injure the brain. Ref: FORENSIC MEDICINE AND TOXICOLOGY Dr PC IGNATIUS THIRD EDITION PAGE 164